Which of the following is the most commonly used MR sequence for non-contrast angiography?
1. Time-of-flight (TOF)
2. Phase contrast
3. TRUFI
4. Arterial spin labeling

Correct answer: 1. Time-of-flight (TOF)